All are the risk factors associated with macroso- mia except :
1. Maternal obesity
2. Prolonged pregnancy
3. Previous large infant
4. Short stature

Correct answer: 4. Short stature

Explanation: Ans. is d i.e. Short stature